Commonest posterior mediastinal tumour is:
1. Lung cyst
2. Neurofibroma
3. Dermoid
4. Thyroid

Correct answer: 2. Neurofibroma

Explanation: Ans: b (Neurofibroma)Ref: Bailey & Love, 24th ed, p. 862, Fig (56.20) & 23rd ed p. 791, Schwartz, 7th ed p. 772